Normal serum alkaline phosphatase level is
1. 100-400 Bodansky units
2. 1000-4000 Bodansky units
3. 0.1-0.4 Bodansky units
4. 1-4 Bodansky units

Correct answer: 4. 1-4 Bodansky units